Most dangerous sign in lower respiratory tract infection in children is __________
1. Chest retraction
2. Tachypnea
3. Grunting
4. Abdominal breathing

Correct answer: 3. Grunting

Explanation: Grunting ⇒ 
Expirating against partially closed glottis.
It is an attemp to maintain positive airway pressure during expiration.